The most useful diuretic agent in the treatment of recurrent calcium stones is
1. Mannitol
2. Furosemide
3. Spironolactone
4. Hydrochlorothiazide

Correct answer: 4. Hydrochlorothiazide

Explanation: The thiazides are useful in the prevention of calcium stones because these drugs inhibit the renal excretion of calcium. In contrast, the loop agents facilitate calcium excretion.